The ocular hypotensive agent causing apnoea in infants is:-
1. Latanoprost
2. Timolol
3. Betaxolol
4. Brimonidine

Correct answer: 4. Brimonidine

Explanation: Brimonidine is selective alpha 2 receptor agonist. It can cause drowsiness and respiratory depression in children and infants and therefore contraindicated in them.